Which one of the following arteries pierces the oblique popliteal ligament of the knee joint?
1. Medial superior genicular artery
2. Lateral superior genicular artery
3. Middle genicular artery
4. Posterior tibial recurrent artery

Correct answer: 3. Middle genicular artery

Explanation: OBLIQUE POPLITEAL LIGAMENT
Expansion from the tendon of semimembranosus.
Runs upwards and laterally, blends with the posterior surface of the capsule, and is attached to the intercondylar line and lateral condyle of femur.
Related to politeal artery.
Structures piercing the ligament

Middle Genicular vessels.
Posterior division of obturator nerve